FDA approved drug for the treatment of superficial basal cell carcinoma is ?
1. Imiquinod
2. Acyclovir
3. Clobesterol
4. Terbinafine

Correct answer: 1. Imiquinod

Explanation: Ans. is 'a' i.e., i.e., Imiquimod Imiquimod Immunomodulator and enhances both innate and acquired immunity. It is used in the treatment of actinic keratosis, bowen's disease, keloids, basal cell carcinoma and anogenital was. It is applied for 8 - 12 hrs, 3 days/ week for 16 weeks. Superficial basal cell carcinoma Superficial BCC is characterized microscopically by buds of malignant cells extending into the dermis from the basal layer of the epidermis. The peripheral layer shows palisading cells. There may be epidermal atrophy, and dermal invasion is usually minimal. There may be a chronic inflammatory infiltrate in the upper dermis. This histologic sub- type is encountered most often on the trunk and extremities, but may also appear on the head and neck. Imiquimod (5% cream) has been used in the treatment of skin cancers.Approved in 2004 by the FDA for the topical treatment of biopsy- confirmed, small (less than 2 cm), primary superficial BCC.